Nerve compressed by aneurysm of posterior communicating artery is
1. Occulomotor nerve
2. Optic nerve
3. Hypophysis cerebri
4. Trochlear nerve

Correct answer: 1. Occulomotor nerve

Explanation: Occulomotor nerve Most unruptured intracranial aneurysms are completely asymptomatic. Symptoms are usually due to rupture and resultant subarachnoid hemorrhage. Occasionally neurological symptoms may arise due to mass effect of the aneurysm. Progressively enlarging unruptured aneurysm most commonly involves the occulomotor nerve. This usually occurs .from an expanding aneurysm at junction of post communicating artery and internal carotid artery. Other neuropathies due to intracranial aneurysms are Cavernous sinus aneurysm can produce sixth nerve palsy. Supraclinoid carotid or anterior cerebral artery aneurysm can produce visual field defects. Posterior inferior cerebellar artery or anterior inferior cerebellar artery aneurysm may present as occipital & posterior cervical pain. An expanding middle cerebral artery aneurysm can produce pain in or behind the eye & in the low temple. Ophthalmic artery aneurysm can cause visual loss by compressing optic nerve.